Which of the following is the least common presentation of multiple myeloma?
1. Anemia
2. Hyperviscocity
3. Bone pains
4. Infection

Correct answer: 2. Hyperviscocity

Explanation: Bone pain is seen in 70 perceny patients. Infections is the next common( 75 percent have serious infection at some time in their course) Normocytic normochromic anemia is seen in 80 percent patients. ( ref Robbins 8th /610-610)